Aortic regurgitation does NOT occur in :
1. Acute MI
2. Marfan's syndrome
3. Rheumatic heart disease
4. Infective endocarditis

Correct answer: 1. Acute MI

Explanation: Answer is A (Acute myocardial infarction) Amongst the options provided Acute MI is most unlikely to produce Aortic regurgitation. Acute MI is the single best answer of exclusion.